Which of the following drug undergoes Hoffman's elimination
1. Atracurium
2. Pancuronium
3. Mivacurium
4. Vecuronium

Correct answer: 1. Atracurium

Explanation: Atracurium undergoes Hoffman's elimination that is nonenzymatic spontaneous degradation and hence safe in patients with renal and hepatic insufficiency.